The most common primary cause of intraocular tumor in children -
1. Retinoblastoma
2. Rhabdomyosarcoma
3. Neuroblastoma
4. Melanoma

Correct answer: 1. Retinoblastoma

Explanation: Malignant tumor arising from the neurosensory cells of retina due to deletion of RB gene located on the long arm of chromosome 13(13q14). Ref: ak khurana 6th edition